Calcific hepatic metastasis are seen in
1. Adenocarcinoma of the colon
2. Carcinoid tumors
3. Renal cell carcinoma
4. Lymphoma

Correct answer: 1. Adenocarcinoma of the colon

Explanation: Calcified hepatic metastases Clacified hepatic metastases are most frequently associated with mucin-producing neoplasm such as colon carcinoma or less likely ovarian carcinoma